What is function of Intrinsic Factor?
1. Increases cobalamin absorption
2. Increases folate absorption
3. Converts prothrombin to thrombin
4. Convert s fibrinogen to fibrin

Correct answer: 1. Increases cobalamin absorption

Explanation: Vit B12 synonyms are cobalamine, extrinsic factor of castle, anti-pernicious anaemia factor parietal cells of the stomach secrete a special protein called intrinsic factor (IF). IF is required for the absorption of Vit B12 one molecule of IF can combine with 2 molecules of B12 this complex attaches to specific receptors on mucosal cells and get internalised ref DM Vasudevan 8thed page 477